Carcinoembryonic antigens (CEA) is increased in all except
1. Lung cancer
2. Breast cancer
3. Colon cancer
4. Osteogenic sarcoma

Correct answer: 4. Osteogenic sarcoma

Explanation: Carcinoembryonic antigen(CEA) is a cell surface glycoprotein discovered by Gold and Freedman.  It is normally produced by colonic epithelium.  Its serum 1/2 life is up to 10 days and is cleared by liver through Kupffer cells. So its 1/2 life prolongs in cholestasis and hepatocellular dysfunction.  Normal level is < 2.5 ng/ml. Level > 5 ng/ml is significant.  Even though it is a widely used tumour marker, it has got low sensitivity.  CEA is primarily associated with colorectal cancers, but it can also increase significantly in pancreatic, gastric, lung, breast carcinomas. Often its level also increases in nonmalignant conditions like pancreatitis, hepatitis, obstructive jaundice, BPH. Reference : page 906 SRB's manual of surgery 5th edition